The enzyme deficient in Lysch Nyhan syndrome is:-
1. Adenosine Deaminase
2. PRPP synthetase
3. HGPRTase
4. Xanthine oxidase

Correct answer: 3. HGPRTase

Explanation: HGPRTase (Hypoxanthine guanine phosphoribosyl transferase) deficiency: Causes Lesch-Nyhan syndrome. | synthesis of purine nucleotides |utilization of purines (hypoxanthine and guanine) by salvage pathway-accumulation of PRPP (Neurotoxic component)- Self mutilation Defect in salvage pathway- | IMP and CMP - impairment feedback regulation of their production